Aschoff bodies in Rheumatic heart disease show all of the following features, except:
1. Anitschkow cells
2. Epitheloid cells.
3. Giant cells.
4. Fibrinoid necrosis.

Correct answer: 2. Epitheloid cells.

Explanation: . Epitheloid cells.